A 26-year-old female underwent cesarean section for a complicated pregnancy. She complains of severe occipital headache since day 2 after surgery. Headache is associated with neck pain and stiffness. Most accurate statement regarding the present clinical complaint
1. Epidural blood patch is the next step in the management.
2. It is a major complication and needs immediate intervention.
3. Seepage of CSF resulted in the present condition.
4. Early ambulation resulted in the present condition

Correct answer: 3. Seepage of CSF resulted in the present condition.

Explanation: Answer: c) Seepage of CSF resulted in the present conditionPost-spinal headacheIt is a low-pressure headache due to the seepage of CSF through the puncture site.It presents usually after 12-24 h of the spinal anesthesia.In majority of the cases, it is relieved within 1 week.It can be prevented by using small-gauge needles or dural separation needles.Adequate hydration leads to excess CSF production and prevents the post-spinal headache, which is caused by significant CSF loss (of around lOml/h).Management:First line: Includes oral analgesics and intravenous fluid administration.Second line: Includes injection of desmopressin and caffeine.Definitive treatment: Includes injection of autologous blood in the epidural space.